Bone marrow depression is seen with chronic administration of ?
1. Isoflurane
2. N20
3. Ether
4. Halothane

Correct answer: 2. N20

Explanation: Ans. is 'b' i.e., N20